Translocation between the 2 acrocentric chromosomes with breakpoint occurring close to the centromeres, so that very large and very small chromosomes are obtained from which smaller fragment is usually lost. The type of cytogenic abnormality is:
1. Deletion
2. Balanced translocation
3. Robertsonian translocation
4. Inversion

Correct answer: 3. Robertsonian translocation